Myelin in CNS is formed by:
1. Oligodendrocytes
2. Schwann cells
3. Microglia
4. Astrocytes

Correct answer: 1. Oligodendrocytes

Explanation: Myelin sheath in the CNS is formed by the oligodendrocytes; Myelin sheath of the peripheral nerves is formed by the Schwann cells.